Thymus gland abscess seen in congenital syphilis is called as
1. Fouchier’s abscess
2. Politzeri abscess
3. Douglas abscess
4. Dubois' abscess

Correct answer: 4. Dubois' abscess

Explanation: Abscesses of the thymus gland were first described by Dubois in 1850 as a product of congenital syphilis. Chiari believed that the Dubois abscess was a cyst formed by the thymus tissue invading Hassall's corpuscles, the result of pronounced syphilitic changes.
Key Concept:
An abscess of the thymus (also known as "Dubois' abscess") is a condition that is one of many possible causes of cysts in the mediastinum. It can present with chest pain behind the sternum. It can be associated with congenital syphilis.